Rubber Dam was introduced in dentistry?
1. S C Burnam in 1864
2. SC Burnam in 1856
3. Jogren in 1856
4. Bunocore in 1864

Correct answer: 1. S C Burnam in 1864